Which of the following is acid fast:
1. Oocyst of Cryptosporidium
2. Cyst of entamoeba
3. Hydatid disease cyst
4. Cysticercus cyst

Correct answer: 1. Oocyst of Cryptosporidium

Explanation: Ans: a (Oocyst of Cryptosporidium) Ref: Harrison, 16th ed, p. 1250Oocyst of Cryptosporidium is acid fastAcid fast organisms include1. Nocardia2. Legionella micoadie3. Bacterial spores4. Rhodococcus5. Isospora6. Mycobacterium7. Spermatic head8. Cryptococcus cyst